Which of the following organisms is known to cause Atrophic rhinitis ?
1. Klebsiella ozaena
2. Klebsiella pneumonia
3. Streptococcus pneumonia
4. Streptococcus foetidis

Correct answer: 1. Klebsiella ozaena

Explanation: Ans. is 'a' i.e., Klebsiella ozaena Atrophic rhinitis (Ozaena) Atrophic rhinitis is a chronic inflammation of nose characterized by atrophy of nasal mucosa, including the glands, turbinate bones and the nerve elements. Atrophic rhinitis may be primary or secondary : ? 1) Primary atrophic rhinitis The primary pathology is inflammation and atrophy of the nose. Generally, atrophic rhinitis refers to primary atrophic rhinitis. Causes are : - i) Hereditary ii) Endocrinal pathology - Starts at puberty. Stops after menopause iii) Racial factors - Seen more in Whites and Yellow races iv) Nutritional deficiency - Deficiency of vitamin A, D, E and iron may be responsible for it. v) Infective - Klebsiella ozanae, Diphtheriods, P. vulgaris, E.coli, Staphylococci, Streptococci. vi) Autoimmune process - Causing destruction of nasal, neurovascular and glandular elements may be the cause. 2) Secondary atrophic rhinitis Specific infections, such as syphilis, lupus, leprosy, and rhinoscleroma, may cause destruction of the nasal structures leading to atrophic changes. Can also results from long standing purulent sinusitis , radiotherapy of nose, excessive surgical removal of the turbinate and as complication of DNS on the root side of nose.